Marfan's syndrome associated with?
1. Retinal detachment
2. Vitreous hemorrhage
3. Ectopia lentis
4. Roth spots

Correct answer: 3. Ectopia lentis

Explanation: Ectopia lentis REF: Khurana 4th ed p. 422, Pediatric ophthalmology: A clinical guide by Pamela Gallin Table 8-7 "Marfan's syndrome is the most common cause of subluxated lens of childhood" Differential diagnosis of dislocated/subluxated lens: Trauma Ectopia lentis et pupillae Aniridia Syphilis Megalocornea (X linked recessive) Marfan's syndrome Homocystinuria Hyperlysinemia Sulfite oxidase deficiency Weill- Marchesani